Fat containing breast lesions is seen in
1. Fat necrosis
2. Hamartoma
3. Galactocele
4. All of the above

Correct answer: 4. All of the above

Explanation: Others :

Lipoma.
Oil cyst.